Malt workers lung is associated with:
1. Aspergillus clavatus
2. Aspergillus fumigatus
3. Micropolyspora faeni
4. Actinomyces israeli

Correct answer: 1. Aspergillus clavatus

Explanation: Aspergillus clavatus